Biotin is used in the treatment of:
1. Multiple carboxylase deficiency
2. Keto acid dehydrogenase deficiency
3. Transketolase deficiency
4. Multiple dehydrogenase deficiency

Correct answer: 1. Multiple carboxylase deficiency

Explanation: Multiple carboxylase/biotinidase deficiency:- autosomal recessive disorder due to defect in holocarboxylase synthase or biotinidase deficiency. Clinical features:- -Metabolic ketoacidosis -Diffuse rash -Alopecia -Seizures -Intellectual disability